Malnutrition-related diabetes mellitus is related with all, except:
1. Body mass index <19
2. Positive past history of pancreatitis
3. Commoner variety is fibrocalculous pancreatic type
4. Ketosis

Correct answer: 4. Ketosis

Explanation: The hallmark of malnutrition-related diabetes is the absence of ketoacidosis.
Malnutrition-related diabetes is commonly seen in tropical countries.
It is of the following 2 type → 1. Protein deficient diabetes mellitus 2. Fibro calculus diabetes mellitus

It may be associated with low birth • This one is associated with pancreatitis. weight and lower body weight (• It is more common of the 2 types, choice ‘B’ can be explained by it)